The cellular component for protein synthesis is
1. Smooth endoplasmic reticulum
2. Rough endoplasmic reticulum
3. Ribosomes
4. Mitochondria

Correct answer: 3. Ribosomes

Explanation: Although both ribosomes & RER are involved in the synthesis of protein, the cellular component on which all interactions take place to synthesize the protein in the ribosome.